Metropathia hemorrhagica is best treated by :
1. Curettage of uterus
2. Progestogen
3. Oestrogen
4. Clomiphene

Correct answer: 2. Progestogen

Explanation: Progestogen